Aplastic crisis in sickle cell anemia as compared to haemolytic crisis leads to
1. Increased blood volume
2. Total leucocyte count decreased
3. Decrease in reticulocytes
4. Same findings

Correct answer: 3. Decrease in reticulocytes

Explanation: Aplastic crisis is an acute event caused by sudden decrease in red cell production. This is usually triggered by infection of erythroblasts by parvovirus B-19.
Hemolytic crisis is associated with hyperbilirubinemia and compensatory reticulocytosis.